Posterior cerebral artery is a branch of which of these?
1. Veerbral artery
2. Basilar artery
3. Posterior cerebral artery
4. Posterior choroidal artery

Correct answer: 2. Basilar artery

Explanation: Posterior cerebral arteries are the terminal branches of basilar artery. Basilar artery is formed by the union of two vertebral arteries at the lower border of pons.It ascends in the basilar sulcus on the ventral aspect of the pons in the cisterna pontis and terminates at the upper border of pons by dividing into left and right posterior cerebral arteries. (Ref: Vishram Singh textbook of clinical neuroanatomy, second edition pg - 174)